Emile Durkheim is linked with work on which of the following conditions in psychiatry?
1. Suicide
2. Obsessive compulsive disorder
3. Anxiety disorder
4. Schizophrenia

Correct answer: 1. Suicide

Explanation: Emile Durkheim studied extensively the social factors associated with suicide.